What is the drug of choice for management of hypertension in Pheochromocytoma?
1. Phenoxybenzamine
2. Phentolamine
3. Labetalol
4. Esmolol

Correct answer: 1. Phenoxybenzamine

Explanation: Preoperative patient preparation is essential for safe surgery. a- Adrenergic blockers (Phenoxybenzamine) should be initiated at relatively low doses (e.g. 5-10 mg orally three times per day) and increased as tolerated every few days. Adequate alpha blockade generally requires 7 days, with a typical final dose of 20-30 mg phenoxybenzamine three times per day.